FALSE statement about polyarteritis nodosa (PAN) is:
1. It is a necrotizing vasculitis of small and medium-sized muscular arteries
2. Involvement of the renal and visceral arteries is characteristic.
3. PAN does not involve pulmonary arteries and bronchial vessels
4. Granulomas, significant eosinophilia, and are not observed.

Correct answer: 3. PAN does not involve pulmonary arteries and bronchial vessels

Explanation: Polyarteritis nodosa (PAN) It is a multisystem, necrotizing vasculitis of small and medium-sized muscular arteries. Involvement of the renal and visceral arteries is characteristic. PAN does not involve pulmonary arteries, although bronchial vessels may be involved; Granulomas, significant eosinophilia, and an allergic diathesis are not observed. Ref: Harrisons principles of internal medicine, 18th edition, Page: 2794.